Cholesterol is:
1. Tocopherol
2. Lipoprotein
3. Steroid
4. Lipopolysacchride

Correct answer: 3. Steroid

Explanation: Cholesterol is an amphipathic lipid and is an important structural component of membranes and of the outer layer of plasma lipoproteins. It is mainly synthesized in many tissues from Acetyl-CoA and is the precursor of all other steroids in the body, including corticosteroids, sex hormones, bile acids, and vitamin D.